Drug not causing gynaecomastia is ?
1. Cimetidine
2. Spironolactone
3. Pyrazinamide
4. Ketoconazole

Correct answer: 3. Pyrazinamide

Explanation: Ans. is 'c' i.e., Pyrazinamide